San Joakin valley fever is caused by
1. B. dermatitidis
2. Cryptococcous neoformans
3. Coccidioidomycosis immitis
4. H. capsulatum

Correct answer: 3. Coccidioidomycosis immitis

Explanation: San joakin valley fever ( also known as desert rheumatism) is caused by coccidoides immitis which is a dimorphic fungi. at 37 degree C - it is yeast at 25 degree C - it is mould Ahroconidial arrangement is seen in this fungus ( Rectangular arrangement ) H. capsulatum- cause Darling disease B. dermatitidis- cause Chicago disease